A woman is referred by her lawyer to a psychiatrist to establish the diagnosis of kleptomania after she was arrested for shoplifting. Which of the following does not suggest this diagnosis?
1. The stolen items are useless for her
2. This is the first episode of shoplifting in her whole life
3. She committed shoplifting for many times but she was not caught
4. She threw away the stolen items immediately

Correct answer: 2. This is the first episode of shoplifting in her whole life

Explanation: Patient of kleptomania would repeatedly steal items which are of no monetary or personal value to them. Often after stealing they would discard the stolen items.